Psychrometer Psychrometer is used to measure -
1. Humidity
2. Air velocity
3. Room temperature
4. Radiant temperature

Correct answer: 1. Humidity

Explanation: Ans. is 'a' i.e., Humidity Humidity is measured by o Dry and wet Bulb hygrometer o Sling psychrometer o Assmann psychrometer o Air velocity is measured by anemometer. o Radiant temprature is measured by Globe thermometer. o Room temprature is measured by bulb thermometer.